Elemental iron and folk acid content of pediatric iron folic acid tablet supplied under RCH programme are?
1. 20 mg iron & 100 microgram folic acid
2. 40 mg iron & 100 microgram folic acid
3. 40 mg iron & 50 microgram folic acid
4. 60 mg iron & 100 microgram folic acid

Correct answer: 1. 20 mg iron & 100 microgram folic acid

Explanation: Ans. is 'a' i.e., 20 mg of iron and 100 microgram folic acid o National nutritional anemia prophylaxis programme is based on daily administration of Iron & folic acid tablets to maintain rural child health. o For anemia prophylaxis FOLIFER tablets with 20 mg elemental iron and 100 microgram folic acid are given to children for 3 months. o For treatment upto 6 mg/kg elemental iron should be given for 3 months.